Brush burn is a type  of?
1. Bruise
2. Confusion
3. Laceration
4. Abrasion

Correct answer: 4. Abrasion